Mode of spread of Enterovirus is:
1. Vector mediated
2. Droplet infection
3. Faeco oral route
4. Skin contact

Correct answer: 3. Faeco oral route

Explanation: Ans. is 'c' i.e., Faeco oral route (Ref: Jawetz, 27th/e, p. 515)* Humans are the only known reservoir for members of the human Enterovirus group. These viruses are generally shed for longer periods of time in stools than in secretions from the upper alimentary tract. Thus, fecal contamination (hands, utensils, food and water) is main source followed by respiratory droplets via inhalation or rarely by conjunctival contact.